At what point in time is the population assessed for calculation of Crude death rate?
1. 1st Jan
2. 1st May
3. 1st July
4. 31st Dec

Correct answer: 3. 1st July

Explanation: For calculation of crude death rate,mid-year population is assesed. Population count as on 1st July of an year is considered as Mid Year Population of that year. Crude birth rate (CBR): Annual number of live births per 1000 mid-year population Crude death rate (CDR): Annual number of deaths per 1000 mid-year population 1st july also celebrated as doctor's day Findings of SRS Bulletin: 1. Crude Birth Rate (CBR): 20.2 per 1000 mid-year population 2. Crude Death Rate (CDR): 6.3 per 1000 mid-year population